Cachectin is produced by -
1. Neutrophils
2. Eosinophils
3. Macrophages
4. Basophils

Correct answer: 3. Macrophages

Explanation: a protein that is released by activated macrophages as an immune system defense and, when the defense is overwhelmed, is a cause of cachexia or toxic shock: in humans, identical with tumor necrosis factor. Reff: www.mayoclinic.com